Asbestosis causes all except
1. Shaggy heart borders
2. Honeycombing
3. Hilar lymphadenopathy
4. Basal peribronchial fibrosis

Correct answer: 3. Hilar lymphadenopathy

Explanation: Ans. is 'c' i.e., Hilar lymphadenopathy Asbestosis causes fibrosis in the lower lobes of the lung. Pleural plaque formed by asbestosis most commonly affects anterolateral and posterolateral aspects of parietal pleura and over the dome of diaphragm